False about gallbladder cancer
1. Adenocarcinoma is the most common type
2. Prognosis is generally poor
3. Gall stones is a common associated factor
4. Vibrio Cholera infection is associated

Correct answer: 4. Vibrio Cholera infection is associated

Explanation: Ans. (d) Vibrio cholera is associatedRef: Bailey 26th edition Page 1116* MC type of cancer is Adenocarcinoma - Nodular and infiltrative* Squamous cell cancer can arise but rare* MC association is Gall stones* Carries poor prognosis